Metabolic compensation in a child with respiratory acidosis takes how much time?
1. < 1 day
2. 1-2 days
3. 3-4 days
4. More than 7 days

Correct answer: 3. 3-4 days

Explanation: Secondary respiratory compen sations to metabolic acid-base disorders occur within minutes and is completed by 12 to 24 hr. In contrast secondary metabolic compensation of respiratory disorders begins more slowly and takes 2 to 5 days for completion. The compensatory mechanisms do not return the pH to normal until the underlying disease process has been appropriately treated.